Longest acting loop diuretic is :
1. Furosemide
2. Torsemide
3. Bumetanide
4. Ethacrynic acid

Correct answer: 2. Torsemide

Explanation: Torsemide is the longest acting loop diuretic.